Which is a eukaryote-
1. Mycoplasma
2. Bacteria
3. Fungus
4. Chlymydia

Correct answer: 3. Fungus

Explanation: Ans. is 'c' i.e., Fungus